The Nitrate which does not undergo first pass metabolism is -
1. Isosorbide mononitrate
2. Nitroglycerine
3. Pentaerythritol tetranitrate
4. Isosorbide dinitrate

Correct answer: 1. Isosorbide mononitrate

Explanation: Ans. is 'a' i.e., Isosorbide mononitrate o "All nitrates except isosorbide mononitrate undergo extensive but variable first pass metabolism in liver".